A 1-week-old neonate presents to the pediatric emergency room with fever, irritability, poor feeding, and a bulging anterior fontanelle. Lumbar puncture is performed, and the cerebrospinal fluid (CSF) grows group B Streptococcus. Which of the following is the most likely pathogenic mechanism?
1. Complement C5a, a potent chemoattractant, activates polymorphonuclear neutrophils (PMNs)
2. In the absence of a specific antibody, opsonization, phagocyte recognition, and killing do not proceed normally
3. The alternative complement pathway is activated
4. The streptococci are resistant to penicillin

Correct answer: 2. In the absence of a specific antibody, opsonization, phagocyte recognition, and killing do not proceed normally

Explanation: There has been speculation concerning the pathogenesis of GBS. This includes failure to activate complement pathways and immobilization of polymorphonuclear leukocytes due to the inactivation of complement C5a, a potent chemoattractant.